Pouch of Douglas is between:
1. Rectum and Sacrum
2. Uterus and Urinary bladder
3. Bladder and pubis symphysis
4. Rectum and Uterus

Correct answer: 4. Rectum and Uterus

Explanation: Rectouterine pouch (pouch of Douglas) is the most dependent part of the entire peritoneal cavity (when the patient is in the standing position), hence it frequently becomes the site for the accumulation of blood (from a ruptured ectopic pregnancy) or pus (from a ruptured pelvic appendicitis or in gonococcal peritonitis).Because the pouch lies directly behind the posterior fornix of the vagina, it is commonly violated by misguided nonsterile instruments, which pierce the wall of the posterior fornix in a failed attempt at an illegal abortion.A needle may be passed into the pouch through the posterior fornix in the procedure known as culdocentesis.Surgically, the pouch may be entered in posterior colpotomy. The interior of the female pelvic peritoneal cavity may be viewed for evidence of disease through an endoscope.